Hypogammaglobenemia causes?
1. Chronic recurrent sinusitis
2. Epistaxis
3. Contractures
4. Eczemia

Correct answer: 1. Chronic recurrent sinusitis

Explanation: Repeated question